Oral Lesion associated with ulcerative colitis
1. Lichen planus
2. Pyostomatitis Vegetans
3. Sarcoidosis
4. Dermatitis herpetiforrris

Correct answer: 2. Pyostomatitis Vegetans

Explanation: In pyostomatitis vegetans, the oral lesions are one part of the syndrome, in which the patients also manifest concomitantly ulcerative colitis or other gastrointestinal disturbances.
The oral lesions consist of large numbers of broad-based papillary projections, tiny abscesses or vegetations developing in areas of intense erythema. These lesions may occur in any area of the oral cavity, although tongue involvement appears to be uncommon.